Immune complex deposition is the basic underlying pathology in which type of hypersensitivity reaction?
1. Type I
2. Type 2
3. Type 3
4. Type 4

Correct answer: 3. Type 3

Explanation: Ref: Robbins Pathologic Basis of Disease. 8flt editionExplanation:(See the following table)